Most common organism causing laryngotracheobronchitis is
1. RSV
2. Para-influenza virus
3. Influenza virus
4. H. Influenza

Correct answer: 2. Para-influenza virus

Explanation: Para-influenza virus I and II is the most common organism causing laryngotracheobronchitis. Ref: Textbook of diseases of ENT, PL Dhingra, 7th edition, pg no. 328